A 31-year-old patient complains of sensory loss over the anterior and posterior surfaces of the medial third of the hand and the medial one and one-half fingers. He is diagnosed by a physician as having "funny bone" symptoms. Which of the following nerves is injured?
1. Axillary
2. Radial
3. Median
4. Ulnar

Correct answer: 4. Ulnar

Explanation: Ulnar nerve supplies sensory fibers to the skin over the palmar and dorsal surfaces of the medial third of the hand and the medial one and one-half fingers. Funny bone sensation is irritation of a nerve at the elbow that causes numbness and tingling of the inner elbow, forearm as well as little and ring fingers Median nerve innervates the skin of the lateral side of the palm; the palmar side of the lateral three and one-half fingers; and the dorsal side of the index finger, the middle finger, and one-half of the ring finger. Radial nerve innervates the skin of the radial side of the hand and the radial two and one-half digits over the proximal phalanx.